Which of the following physiological effect is not produced by stimulation of Kappa opioid receptor?
1. Sedation
2. Diuresis
3. Meiosis
4. Constipation

Correct answer: 4. Constipation

Explanation: Constipation is due to stimulation of u receptor. The effect of stimulation of Kappa opioid receptor includes analgesia, dieresis, sedation, meiosis and dysphoria. Ref: Review of Medical Physiology by Ganong, 20th Edition, Page 107.